Enzyme responsible for complete oxidation of glucose to CO2 to water is present in
1. Cytosol
2. Mitochondria
3. Lysosomes
4. Endoplasmic reticulum

Correct answer: 2. Mitochondria

Explanation: Ans. is 'b' i.e. Mitochondria The fate of pyruvate formed at the end of glycolysis (glucose metabolism) is as follows :Under anaerobic conditions : Pyruvate is reduced by the NADH to lactate in the presence of Lactate dehydrogenaseUnder aerobic conditions : Pyruvate is taken up into mitochondria & is converted to Acetyl-CoA in the presence of pyruvate dehydrogenase complex. Now this Acetyl-CoA enters Krebs cycle.* Kreb's cycle is the final pathway where oxidative metabolism of carbohydrates, amino acids & fatty acids converge, their carbon skeleton being converted to CO2 and H20.